Staphylococcal infection causes all the following skin diseases except:-
1. Impetigo
2. Erysipelas
3. Ecthyma
4. Scalded skin syndrome

Correct answer: 2. Erysipelas

Explanation: Erysipelas is caused by streptococcus pyogenes. Skin diseases caused by staphylococcus aureus are: Scalded skin syndrome Cellulitis Impetigo Carbuncles Furuncles Ecthyma